Most common Vagal carcinoma is
1. Squamous cell ca
2. Adenocarcinorna
3. Botroid's tumor
4. Columnar hyperplasia

Correct answer: 1. Squamous cell ca

Explanation: Ans. is a i.e. Squamous cell Ca Vaginal carcinoma Primary cancer of vagina are very rare. Most common age group is Elderly females - 70 years. Most common histologic type is Squamous cell carcinoma Most common site is Upper third of Posterior wall of vagina. Mostly asymptomatic Patient may present with abnormal vaginal bleeding (including post coital bleeding). Foul smelling discharge per vaginum. P/S - Ulcerative/exophytic growth on vagina. Cervix appears normal. Lymphatic Drainage : Tumor arising in upper vagina : drain to pelvic lymph node. Tumor arising in lower part : drain to inguinal lymph node. Management : Growth limited to middle third : Radiotherapy Growth limited to upper third and lower third : Surgery.